Ganglion which is spared in Lumbar sympathetomy is
1. L1
2. L2
3. L3
4. L4

Correct answer: 1. L1